Opsomyoclonus is encountered as C/F of ?
1. Meningioma
2. Neuroblastoma
3. Neurofibromatosis
4. Excision

Correct answer: 2. Neuroblastoma

Explanation: Ans. is 'b' i.e. Neuroblastoma Opsoclonus-Myoclonus Syndrome Opsoclonus is a disorder of eye movement characterized by involuntary, chaotic saccades that occur in all directions of gaze; it is frequently associated with myoclonus and ataxia. Causes of Opsoclonus-myoclonus a) Idiopathic b) Cancer-related (paraneoplastic) - cancers associated with opsoclonus-myoclonus are usually lung and breast cancers in adults and neuroblastoma in children.